Select the wrong statement with respect to the variable required to calculate the MELD score
1. The prothrombin time expressed as international normalized Ratio (INR)
2. Serum albumin
3. Serum billrubin
4. Serum creatinine

Correct answer: 2. Serum albumin

Explanation: MELD scoring system (Model for End stage Liver Disease by Dr Patrick Kamath)is a scoring system for assessing the severity of chronic liver disease. This score is now used by the United Network for Organ Sharing (UNOS) and Eurotransplant for prioritizing allocation of liver transplants. It is done using PT INR, serum creatinine and serum bilirubin.It is calculated according to the following formula: MELD = 3.78xln + 11.2xln + 9.57xln + 6.43 In interpreting the MELD Score in hospitalized patients, the 3 month mortality is: 40 or more -- 71.3% mortality 30-39 -- 52.6% mortality 20-29 -- 19.6% mortality 10-19 -- 6.0% mortality <9 -- 1.9% mortalityReference : page 617 SRB's manual of surgery 5th edition